Pneumatocele is seen in fracture of -
1. Maxillary sinus
2. Frontal sinus
3. Ethmoid sinus
4. Sphenoid sinus

Correct answer: 2. Frontal sinus